Gatekeeper of the heart is
1. SA node
2. AV node
3. Purkinje fibers
4. Bundle of His

Correct answer: 2. AV node

Explanation: Ans. (b) AV node(Ref: Ganong, 25th ed/p.521)AV node conduction is slow. There is a delay of about 0.1 s in spread of impulseThis delay is mainly responsible for the sequential contraction of atrium followed by ventricles. It is for this reason, AV node is also called "Gatekeeper" to the ventricles